Earliest finger to be involved in Dupuytren's contracture -
1. Little finger
2. Ring finger
3. Middle finger
4. Index finger

Correct answer: 2. Ring finger

Explanation: Dupuytren's contracture is characterised by flexion deformity of one or more fingers due to thickening and shortening of palmar aponeurosis. The contracture is generally limited to medial 3 fingers. Among these ring finger is the one affected most commonly. Reference-Essential orthopaedics- Maheshwari -5th edn-pg no 302